In nutrient agar conc. of agar is -
1. 1%
2. 2%
3. 3%
4. 4%

Correct answer: 2. 2%

Explanation: Ans. is 'b' i.e., 2% Nutrient agar is made by adding 2% agar to nutrient broth.